Transovarian transmission is seen in
1. Ticks
2. Louse
3. Flea
4. None

Correct answer: 1. Ticks

Explanation: Ticks transmit disease by biting. The larva and nymph are also capable of transmitting disease. (infection is maintained transstadially)experiments have also shown transovarial transmission of infection through successive generations. (refer pgno 781 park 22rd edition)